Waves seen in EEG during stage 4- NREM period of sleep is:
1. Alpha
2. Beta
3. Delta
4. Theta

Correct answer: 3. Delta

Explanation: - REM sleep shows - b waves - sort, called as paradoxical sleep. (because even though the person is asleep, the waves of alert wakefulness-b waves are recorded)- NREM sleep - 4 stages* Stage I - Superficial stage - eyes closed & person is in sleep latency - a waves are seen* Stage II - Sleep spindles & large K - complexes are seen * Stage III - Theta waves are seen. * Stage IV - Deeper stages of sleep - delta waves are seen